Tics, hair pulling nail biting can be treated by:
1. Mind fullness
2. Social habit treating
3. Habit reversal training
4. No intervention required

Correct answer: 3. Habit reversal training

Explanation: In habit reversal, patient learns to identify the urge that happens before ticks. And when he senses the urge, he follows it with a voluntary behavior (such as slow rhythmic breathing) instead of the tic.